All are true about non-bacterial thrombotic endocarditis, except ?
1. Cause emboli
2. Vegetation > 5 mm
3. No inflammatory reaction
4. Locally nondestructive

Correct answer: 2. Vegetation > 5 mm

Explanation: Ans. is 'b' i.e., Vegetation > 5 mm Nonbacterial thrombotic endocarditis (NBTE) NBTE is characterized by the deposition of small sterile thrombi on the leaflets of the cardiac valves. The lesions are small, ranging from 1 mm to 5 mm. They occur singly or multiply along the lines of closure of leaflet or cusps. They are composed of bland thrombi that are loosely attached to the underlying valve. The vegetations are not invasive and do not elicit any inflammatory reaction. Thus, the local effect of vegetations is usually unimportant but they may be the source of systemic emboli. NBTE is often encountered in debilitated patients. It is seen in hypercoagulable states, e.g. cancer, promyelocytic leukemia, mutinous adinocarcinomas and increased estrogenic state.